Regarding involvement of structures in Weber syndrome all true except:
1. Oculomotor nerve roots
2. Cerebellar peduncles
3. Corticobulbar tracts
4. Cortispinal tract

Correct answer: 2. Cerebellar peduncles

Explanation: Ref. API Textbook of Medicine. Pg. 533
 
Weber's Syndrome constitutes an ipsilateral third nerve paralysis with a contralateral hemiplegia.

It is due to a lesion in one half of the midbrain e.g. as a result of occlusion of the paramedian branches of the basilar artery.
If there is a localised lesion in the region of the red nucleus, then there is paralysis of upward gaze.